All are characteristics of genetic code except
1. Overlapping
2. Nonambiguous
3. Universal
4. Degeneracy

Correct answer: 1. Overlapping

Explanation: Code is a Triplet The Code is Degenerate The Code is Non-overlapping The Code is Comma Less The Code is Unambiguous The Code is Universal Co-linearity Gene-polypeptide Parity Ref-Sathyanarayana 4/e p507